Administration of scoline (Sch) produces dangerous hyperkalemia in -
1. Acute renal failure (ARF)
2. Raised ICT
3. Fracture femur
4. Paraplegia

Correct answer: 4. Paraplegia